Type of necrosis in pancreatitis-
1. Fibrinoid
2. Coagulative
3. Fat
4. Caseous

Correct answer: 3. Fat

Explanation: Fat necrosis occurs at mainly fat rich anatoanatomical location in the body. Eg: traumatic fat necrosis of the breast especially in heavy and pendulous breast and mesentric fat necrosis due to acute pancreatitis. Ref Robbins 9/e p 10 .